The most common form of fetal traumatic injury incurred during extraction is
1. Rupture of liver
2. Rupture of spleen
3. Intraadrenal hemorrhage
4. Intracranial hemorrhage

Correct answer: 4. Intracranial hemorrhage

Explanation: The most frequent single cause of death in breech presentation is intracranial hemorrhage due to tentorial tears, these tears are the result of sudden excessive pressure on the after coming head and may be aptly described as the snapping of the internal greyropes of the cranium